Thickening of axon leads to
1. Increased speed of conduction
2. Decreased speed of conduction
3. Increased absolute refractory period
4. Unmyelination

Correct answer: 1. Increased speed of conduction

Explanation: Thickening of axon leads to increased speed of conduction as the action potential velocity increases proportionately with axon diameter. Ref: guyton and hall textbook of medical physiology 12 edition page number:76,77,78